All except, aggravates myastheia gravis aEUR'
1. Aazathioprine
2. Phenytoin
3. Tetracycline
4. Aminoglycoside

Correct answer: 1. Aazathioprine

Explanation: Azathioprine Azathioprine is used in the management of myaesthenia gravis. It is an immunosuppressant that reduces the manifestations of myaesthenia gravis. Drugs that aggravate Myaesthenia gravis :Antibiotics Aminoglycosides --> Streptomycin, tobramycin, kanamycin. Quinolones - Ciprofloxacin, levofloxacin, ofloxacin, gatifloxacin. Macrolides --> Erythromycin, azithromycin, telithromycin. Nondepolarizing muscle relaxants D tuboeurarine Pancuronium Vecuronium Atracurium Beta blocking agents Propranolol Atenolol Metoprolol Local anaesthetics and related agents Procaine Xylocaine Procainamide Botulinum toxin Botox exacerbates weakness Quinine derivatives Quinine Quini dine Chloroquine Mefloquine Magnesium Decrease Ach release Penicillamine May cause myaesthenia gravis